Incubation period of HBV is -
1. 45 to 180 days
2. 6 to 60 days
3. 10 days
4. 10 hrs

Correct answer: 1. 45 to 180 days

Explanation: Incubation periodof HBV is 1-6months REF:
ANATHANARAYANAN MICROBIOLOGY NINTH EDITION PAGE.542